Denture Cleanliness index was given by?
1. Budtz-Jörgensen
2. Stoyanova-.Pasheva
3. Arrendorf, T. M. and Walker
4. Turrell

Correct answer: 1. Budtz-Jörgensen

Explanation: patients can be divided into three groups using the following index of denture cleanliness :
Budtz-Jörgensen index of denture cleanliness
Excellent: none or only few spots of plaque.
Fair: more extended plaque, less than half of the denture base covered by plaque.
Poor: more than half of the denture base covered by plaque